Heat stable alkaline phosphatase In pregnancy is derived from :
1. Placenta
2. Maternal liver
3. Fetal liver
4. All of the above

Correct answer: 1. Placenta

Explanation: Placenta